Coffee bean sign is usually seen in:
1. Volvulus
2. Pyloric obstruction
3. Intussusception
4. Intestinal obstruction

Correct answer: 1. Volvulus

Explanation: Coffee bean sign is usually seen in Sigmoid Volvulus.